Suboccipitofrontal diameter is :
1. 9.4 cm
2. 10 cm
3. 11.3 cm
4. 12 cm

Correct answer: 2. 10 cm

Explanation: 10 cm